Developmental cataract is seen in:
1. Rubella
2. Galactosemia
3. Mongolian idiocy
4. All of the above

Correct answer: 4. All of the above

Explanation: Ans. All of the above